X-ray sign of pneumoperitoneum
1. Steeple sign
2. Rigler's sign
3. Golden 'S' sign
4. 'Bird of prey' sign

Correct answer: 2. Rigler's sign

Explanation: Rigler's sign - bowel wall outlined by intraluminal and free peritoneal gas.